Cystatin C is used for ?
1. Diagnosis of acute renal failure
2. Transplant survival
3. Sepsis
4. Pancreatitis

Correct answer: 1. Diagnosis of acute renal failure

Explanation: Refer to question no 242(explanation is given there ) Cystatin C or cystatin 3, a protein encoded by the CST3 gene, is mainly used as a biomarker of kidney function. Recently, it has been studied for its role in predicting new-onset or deteriorating cardiovascular disease. It also seems to play a role in brain disorders involving amyloid, such as Alzheimer's disease. Ref Harrison20th edition pg 287